Drug used in heparin overdose is:
1. Protamine sulfate
2. Phylloquinone
3. Ticlopidine
4. Clopidogrel

Correct answer: 1. Protamine sulfate

Explanation: In heparin overdose an antagonist is needed to arrest it's anticoagulant effects. Protamine sulphate given IV (1mg for every 100 units of heparin) neutralizes heparin. From medical pharmacology padmaja 4th edition Page no 337